Presence of gas shadow in the heart and great vessels suggestive of intrauterine death. This is called:
1. Chadwick's sign
2. Osiander's sign
3. Robert's sign
4. Spalding sign

Correct answer: 3. Robert's sign

Explanation: Ans. Robert's sign